All of the following appear hypo-intense on MRI except
1. Air in lung
2. Ligaments
3. Adipose tissue
4. CSF

Correct answer: 3. Adipose tissue

Explanation: Ans. is'c'i.e., Adipose tissue